Dread (or fear) of high places is called:
1. Abreaction
2. Acrophobia
3. Agoraphobia
4. Acting out

Correct answer: 2. Acrophobia

Explanation: Ans. Acrophobia